Basal cell carcinoma commonly spreads by-
1. Lymphatics
2. Haematogenous
3. Direct spread
4. All the above

Correct answer: 3. Direct spread

Explanation: Harshmohan textbook of pathology 7th edition. even though basal cell carcinoma is a malignant one, it spread to the surrounding tissues , (locally aggressive cutaneous tumour) and that rarely metastasis. .